A 5-year-old girlcame to the Emergency Dept. in evening with the complaint of sudden onset of "difficulty in breathing" and fever,pruritus.She has no past history of lung infection, no recent travel history. She have an history of pica. Little kid is worried about his puppy at home during his hospital stay. On Examination wheezing and hepatomegaly is present. On Peripheral smear, marked eosinophilia,leucocytosis is seen. Best test that helps in diagnosis?
1. Tuberculin skin test
2. ELISA for Toxocara
3. Histoplasmin test
4. Silver stain of gastric aspirate

Correct answer: 2. ELISA for Toxocara

Explanation: Above clinical history suggestive of Visceral larva migrans of Toxocara canis. Clinical features:- Fever, cough, wheezing, bronchopneumonia, anemia, hepatomegaly, leukocytosis, eosinophilia, pruritus, eczema, and urticaria. Investigation:- ELISA is used to confirm diagnosis Treatment:- Albendazole(400 mg orally twice daily for 5 days)